Which of the following is not a criteria suggesting causality in noncommunicable diseases?
1. Strength of association
2. Dose response relationship
3. Specificity of association
4. Lack of temporal association

Correct answer: 4. Lack of temporal association